Which of the following insecticides is a natural product
1. Dieldrin
2. Pyrethrum
3. Parathion
4. Carbaryl

Correct answer: 2. Pyrethrum

Explanation: Insecticides are substances used to kill insects. They are contact poison, stomach poisons, fumigants. Contact poisons are further classified into natural and synthetic. Examples of natural contact poisons are pyrethrum, rotenone, derris, nicotine, mineral oils. Pyrethrins are derived from Chrysanthemum. Park's Textbook of Preventive and Social Medicine, 25th Edition, Pg 843